Greater cutting efficiency of a bur is seen when the rake angle is:
1. Positive
2. Negative
3. Zero
4. Any of the above

Correct answer: 1. Positive